Medium used for antibiotic sensitivity:
1. CLED agar
2. choclolate agar
3. Mueller-Hinton agar
4. Salt milk agar

Correct answer: 3. Mueller-Hinton agar

Explanation: Antibiotic sensitivity testing Antibiotic sensitivity testing is carried out to determine appropriate antibiotic to be used for a particular strain isolated from clinical specimens. Antibiotic testing can be carried out by two broad methods a) Disc diffusion tests b) Dilution tests REF : ananthanarayana 10th ed